Cottle's test is used to diagnose
1. Deviated nasal septum
2. Rhinosporidiosis
3. Antrochoanal polyp
4. Allergic rhinitis

Correct answer: 1. Deviated nasal septum

Explanation: Cottle test: It is used to test nasal obstruction due to an abnormality of a nasal valve as in case of a deviated nasal septum.In this test, the cheek is drawn laterally while the patient breathes quietly. If the nasal airway improves on the test side, the test is positive and indicates abnormality of the vestibular component of the nasal valve.Ref: PL Dhingra, Diseases of Ear, Nose & Throat, 7th edition, pg no. 167